Regarding bile duct injuries following cholecystectomy which of the following statement is false -
1. The incidences following open cholecystectomy is in the range of 0.2 to 0.3%
2. The incidence rate following Laparoscopic cholecystectomy is three times higher than the rates following open cholecystectomy
3. Untreated cases may develop secondary biliary cirrhosis
4. Routine use of 'open' technique of laparoscopic port insertion has resulted in a decline in the incidence of post laparoscopic cholecystectomy bile duct injuries.

Correct answer: 4. Routine use of 'open' technique of laparoscopic port insertion has resulted in a decline in the incidence of post laparoscopic cholecystectomy bile duct injuries.

Explanation: Use of 'open' technique of laparoscopic part insertion has resulted in a reduction of vascular and bowel injuries, not bile duct injuries
The process of laparoscopy begins with the creation of pneumoperitoneum, which is achieved by two methods -

the closed technique with Veress needle or
Open mini-laparotomy technique (using Hasson's canula)
Closed technique - in this classical technique a special hollow insufflation needle (Veress needle) is inserted blindly into the peritoneal cavity through a supraumbilical incision.
Open technique - in the open technique the umbilical fascia and peritoneum are incised under direct vision in the manner of a mini-laparotomy.

The open technique has resulted in a reduction of trocar induced vascular and bowel injuries.

Bile duct injury

most of the bile duct injuries occur during cholecystectomy and its laparoscopic cholecystectomy which is much more commonly associated with bile duct injuries than open cholecystectomy.

Intraoperative cholangiography is done to reduce the incidence of bile duct injuries as it displays the biliary anatomy.